A patient presented with blunt trauma to the abdomen to the emergency department. His heart rate is 150/min and his BP is 80/50 mm Hg. He is scheduled to undergo an emergency laparotomy. Which of the following is the anaesthetic agent of choice ?
1. Thiopentone
2. Midazolam
3. Ketamine
4. Propofol

Correct answer: 3. Ketamine

Explanation: Inducing agents of choice patients with hypotension are Ketamine and Etomidate :-
(1) If the patient is hypertensive at the time of induction → Etomidate is preferable.
(2) If the patient is normotensive or mild hypotensive → Either of two can be used.
(3) If the patient is severely hypotensive → Ketamine is preferred.